NADH CoQ reductase is inhibited by
1. Rotenone
2. CO
3. Antimycin
4. Atractyloside

Correct answer: 1. Rotenone

Explanation: Inhibitors of electron transport chainComplex I Complex II Complex III Complex IV AmobarbitalRotenonePericidin AGuanethidine Chlorpromazine Malonate Carboxin Antimycin A, BAL Naphthoquinone PhenforminCarbon monoxide CyanideHydrogen sulphide Azide Inhibitors of oxidative phosphorylationuBlocking reentry of protons through ATP synthase - Oligomycin , VenturicidinuInhibitors of ATP - ADP exchange - Atractyloside , BongregateuIonophores - Valinomycin , GramicidinUncouplers of oxidative phosphorylationuPhysiological uncouplers - Thermogenin, Thyroxine, Long chain fatty acids, Unconjugated bilirubinuSynthetic uncouplers - 2,4 Dinitrophenol, 2,4 Dinitrocresol, Calcium, Aspirin, DicoumarolHarper's illustrated Biochemistry , 30th ed , page 133